Which of the following is markedly decreased in restrictive lung disease
1. FVC
2. FEV1
3. FEV1/FVC
4. RW

Correct answer: 1. FVC

Explanation: In restrictive lung diseases,lung volumes are markedly reduced,like TLC,FRC,RV,as well as FVC.FEV1 is also reduced compared with normal values,but is relatively a greater value compared with lung volumes.As a result,FEV1/FVC ratio will be normal or increased in restrictive lung diseases. Reference :Harrison's medicine-18th edition,page no:2093.